An 8-yr old boy presents witha gadually progessing swelling and pain since 6 months over the upper tibia. On X-ray there is alytic lesion with scleotic margins in the upper tibial metaphysis. The diagnosis is
1. Osteogenic carcinoma
2. Osteoclastoma
3. Brodie's abscess
4. Ewing's sarcoma

Correct answer: 3. Brodie's abscess

Explanation: Lytic lesions with sclerotic margins in the upper end of tibia in an 8 yr old boy suggests the diagnosis of Brodie's abscess. lytic lesions with sclerotic margins are seen in: simple bone cyst brodie's abscess osteoblastoma chondroblastoma. ref : maheswari 9th ed